Under national polio eradication programme, a case of acute flaccid paralysis is confirmed as polio by surveillance after how many days after the onset of paralysis?
1. 15 days
2. 30 days
3. 60 days
4. 90 days

Correct answer: 3. 60 days

Explanation: Acute flaccid paralysis is paralysis of acute onset (Cases of acute flaccid paralysis are confirmed as polio, if they: 1. Are associated with isolation of wild poliovirus from the stool of the case, or 2. Have residual neurologic sequelae at 60 days after the onset of paralysis, or 3. Died before follow-up could determine whether residual neurologic sequelae was present at 60 days after onset of paralysis, or 4. If there was epidemiological linkage to a confirmed case